Appropriate treatment of women having oedema in pregnancy includes :
1. Salt restriction
2. Fluid restriction
3. Diuretics
4. Bed rest

Correct answer: 4. Bed rest

Explanation: Ans. is d i.e. Bed rest Femoral venous pressure is markedly raised in pregnancy especially in later months. It is due to the pressure exerted by gravid uterus on the common iliac veins (more on right side due to dextrorofation of the uterus). This causes ohysiological edema of pregnancy. No treatment is required for physiological edema or orthostatic edema. It subsides on rest alone. Diuretics should not be prescribed in case of physiological edema.